Impression material that do not harden by chemical reaction:
1. Zinc oxide eugenol
2. Impression compound
3. Alginate
4. Plaster of paris

Correct answer: 2. Impression compound

Explanation: Reversible materials, such as agar and impression compound, soften upon heating and solidify slightly above body temperature with no chemical change taking place.